Prophylaxis for chicken-pox by varicella-zoster immmunoglobulin, true is ?
1. Should be given within 24 hours
2. Given to newborn contact
3. Can be given with varicella vaccine
4. Can be given in established disease

Correct answer: 2. Given to newborn contact

Explanation: Ans. is b' i.e., Given to newborn contact Varicella-Zoster immunoglobulin (VZIG) given within 72 hours of exposure has been recommended for prevention of chickenpox in exposed susceptible individuals particularly in immunosupprressed persons. These include :? a) Susceptible persons receiving imunosuppressive therapy b) Persons with congenital cellular immunodeficiency c) Persons with acquired immunodeficiency including HIV/AIDS d) Susceptible and exposed, persons, in particular pregnant women e) Newborn f) Premature infants of low birth weight. It has no therapeutic value in established disease. VZIG is given by intramuscular injection in a dose of 12.5 units/kg body weight up to a maximum of 625 units, with a repeat dose in 3 weeks, if a high-risk patient remains exposed. Because VZIG appears to bind the varicella vaccine, the two should not be given concomitantly.